Which of the following does not undergo phosphorylation by protein kinases in Eukaryotes:
1. Threonine
2. Tyrosine
3. Serine
4. Asparagine

Correct answer: 4. Asparagine

Explanation: D i.e. AsparagineSerine, threonine and tyrosine undergo phosphorylation by protein kinase (in eukryotes) during post translational modifications- Extra carboxyl group is added to glutamate residue of blood clotting protein prothrombin (carboxylation). Lysine undergo methylation in some muscle proteins (mono & dimethyllysine), and calmodulin (trimethyl lysine); carboxy group of glutamate undergo methylation removing their negative charge.